Enzyme marker for pancreas
1. CPK
2. Amylase
3. SGOT
4. ALT

Correct answer: 2. Amylase

Explanation: CPK -creatine phosphokinase is an enzyme which is increased in myocardial infarction. Amylase is produced by the pancreas and salivary glands. Increased in acute pancreatitis SGOT- elevated in myocardial infarction ALT elevated in liver diseasesRef: DM Vasudevan, 7th edition, box no; 23.4, page no: 308